Curie is unit for:
1. Exposure
2. Absorbed dose
3. Degree of potential danger to health
4. Quantity of radionuclide disintegrating per second

Correct answer: 4. Quantity of radionuclide disintegrating per second

Explanation: Ans. Quantity of radionuclide disintegrating per second